The tributaries of the inferior vena cava include all of the following, except:
1. Left renal vein
2. Left gonadal vein
3. Hepatic vein
4. Right suprarenal vein

Correct answer: 2. Left gonadal vein

Explanation: Left gonadal vein